What is deposited in Kayser-Fleischer ring -
1. Copper
2. Lead
3. Mercury
4. Iron

Correct answer: 1. Copper

Explanation: It is a golden brown ring which occurs due to deposition of copper under peripheral parts of the Descemet's membrane of the cornea. Sunflower cataract-Deposition of copper under the posterior capsule of the lens. It is brilliant golden green in colour and arranged like the petals of a sunflower. Ref: Parsons' 22nd edition , page no.396